Which of the following drug produce neutrophilia?
1. Chlorambucil
2. Glucocorticoids
3. Sulfonamides
4. Chloramphenicol

Correct answer: 2. Glucocorticoids

Explanation: Corticosteroids cause neutrophilia, manifested by an increase in the neutrophil count by 2000 to 5000 cells/mm3. This, in turn, causes an accelerated release of neutrophils from the bone marrow into the circulation and a reduction in the migration of neutrophils out of the circulation. ESSENTIALS of medical PHARMACOLOGY SIXTH EDITION -KD TRIPATHI Page:841,788,286